A 40-year old male after binge drinking slept on a chair. On the next day, he presented with weakness of the right arm and was not able to move his hand. Examination showed ulnar nerve palsy. What would be the management
1. Instant exploration
2. Give a knuckle bender splint
3. Electromyography after 2 days and decide after results
4. Neurolysis

Correct answer: 2. Give a knuckle bender splint

Explanation: Ans. b. Give a knuckle bender splint